Home to bilirubin conversion is carried out by
1. Heme oxygenase
2. Heme reductase
3. Heme isomerase
4. Heme hydrolase

Correct answer: 1. Heme oxygenase

Explanation: Within the macrophage, heme derived from haemoglobin is broken down by heme oxygenase, converting it to biliverdin Carbon monoxide and iron arereleased as by-productsReference: Harper biochemistry 30th edition page no 672